A 3 year old female child develops umblicated nodules over face following a trivial viral infection, the probable diagnosis is :
1. Lichen planus
2. Chicken Pox
3. Scabies
4. Molluscum contagiosum

Correct answer: 4. Molluscum contagiosum

Explanation: Ans. is 'd' Molluscum Contagiosum Molluscum Contagiosumis caused by Pox virus*It presents in children as pearly papule with central umbilication* usually on face.Diagnosis- Molluscum bodies* on Giemsa or gram stain is characteristic.T/t - most of the lesions resolves spontaneously the aim is to prevent the spread to others in the community; curettage, cautery, strong salicylic Acids are used for this.